In splenic injury conservative min is done in -
1. Hemodynamically unstable
2. Young pt.
3. Shatterred spleen
4. Extreme pallor and hypotension

Correct answer: 2. Young pt.